Use of tiotropium is contraindicated in
1. Bronchial asthma
2. Hypertension
3. Urinary retention
4. Peptic ulcer disease

Correct answer: 3. Urinary retention

Explanation: Refer katzung 10e 117,kdt 6/e 113 Ipratropium and tiotropium are anti muscarinic drugs used for the treatment of bronchial asthma and COPD by inhalational route Anti muscarinic drugs are contraindicated in patients with Glaucoma especially angle closure glaucoma History of BPH